Which of the following drugs is most likely to cause additive anemia and neutropenia if administered to an AIDS patient taking zidovudine?
1. Acyclovir
2. Amantadine
3. Ganciclovir
4. Stavudine

Correct answer: 3. Ganciclovir

Explanation: * Ganciclovir is the drug of choice for CMV infections. * It should not be combined with zidovudine because both have bone marrow suppressant property. * It is an analogue of acyclovir which is most active against CMV. but also inhibits other herpes viruses viz. H.simplex, H. zoster and EBV.